What is the most likely diagnosis in a patient with this migratory, pruritic skin eruption?
1. Cutaneous larva migrans
2. Contact dermatitis
3. Paragonimiasis
4. Myiasis

Correct answer: 1. Cutaneous larva migrans

Explanation: Answer A. Cutaneous larva migransCutaneous larva migrans is the correct answer. It is most commonly caused by cat or dog hookworm larvae. The parasite is typically confined to the epidermis as it lacks the collagenase necessary to break through the basement membrane. Most infections are localized in the lower extremity as it is a common site of larval penetration. The eruption appears to migrate as the larvae move up to a few centimeters daily.